Provison of PHC was done by
1. Bhore Committee
2. Chadah Committee
3. Shrivastava Committee
4. Bajaj Committee

Correct answer: 1. Bhore Committee

Explanation: Ans. is 'a' i.e.,Bhore Committe Bhore CommitteIt is also known as 'Health Survey and Development Committee'. Its recommendations were :1) Integration of preventive and curative services at all administration levels2) Short term and long term recommendationsShort term : PHC to cater to a population of 40,000Long term (3 million plan) : PHC units to be set up with 75 bedded hospital for each 10,000 to 20,000 population3) Major charger in medical education including 3 months training in social and preventive medicine to prepare 'social physicians'.